Middle turbinate is a ?
1. Separate bone
2. Part of ethmoid
3. Part of sphenoid
4. Part of zygomatic

Correct answer: 2. Part of ethmoid

Explanation: There are three turbinates in the lateral wall of nose : superior, middle and inferior.The inferior turbinate is a separate bone, while rest of the turbinates are a part of ethmoidal bone.Below and lateral to each turbinate is the corresponding meatus.Inferior turbinate is longest one.